Which of the following is true about resuscitation of a baby born through Meconium stained liquor (MSL)?
1. Intrapartum suction of mouth and nose may be done
2. Postnatal tracheal suctioning of all non-vigorous neonates should be done
3. At least one person skilled in endotracheal intubation should be available at the time of resuscitation
4. All babies born through MSL should be kept in the neonatal ICU for at least 6 hours before handing over to the mother

Correct answer: 3. At least one person skilled in endotracheal intubation should be available at the time of resuscitation

Explanation: Resuscitation of a baby born through MSL: At least one person skilled in endotracheal intubation should be available at the time of resuscitation. Intrapartum suction of mouth and nose- NOT recommended Postnatal tracheal suctioning of all non-vigorous neonates- NOT recommended Vigorous neonates - handed over to the mother immediately, after performing the initial steps of resuscitation.